Cardiac event at the end of isometric relaxation phase:
1. Atrioventricular valves open
2. Atrioventricular valves closes
3. Corresponds to peak of C wave in JVP
4. Corresponds to T wave in ECG

Correct answer: 1. Atrioventricular valves open

Explanation: Isometric relaxation - Semilunar valves have closed. - AV valves yet to open In isometric relaxation ventricular muscle continues to relax without change in ventricular volume | Intraventricular pressure decreases back to the diastolic levels | AV valves open JVP correlation to cardiac cycle A wave: Atrial contraction C wave: Beginning of ventricular contraction bulging of AV valves back towards atria V wave: Towards end of ventricular contraction X wave: Ventricular contraction Y wave: Atrial emptying tricuspid valve opens